A male patient 59 year old complains of multiple swellings in the neck, fever, and weight loss. He gives a history of hypertension treatment. General examination reveals painless lymph nodal enlargement in the neck and on blood investigation, anaemia is revealed. Lymph node biopsy shows typical owl eye-shaped appearance cells.
What can be the most probable diagnosis for this patient?
1. Multiple myeloma
2. Hodgkin’s lymphoma
3. Non-hodgkin’s lymphoma
4. Burkitt’s lymphoma

Correct answer: 2. Hodgkin’s lymphoma

Explanation: Hodgkin lymphoma, like NHL, usually manifests  as  painless  lymphadenopathy.  Although  a definitive  distinction  from  NHL  can  be  made  only  by examination  of  a  tissue  biopsy,  several  clinical  features favor  the  diagnosis  of  Hodgkin  lymphoma.   After the diagnosis is established, staging is used to guide therapy  and  determine  prognosis.
Younger patients with more favorable subtypes tend to present with stage I or stage II disease and usually are free of so-called “B symptoms” (fever, weight loss, night sweats). Patients with advanced disease (stages III and IV) are more likely to  exhibit  B symptoms  as  well  as  pruritus  and  anemia.
The sine qua non of Hodgkin lymphoma is the Reed-Sternberg (RS) cell, a very large cell (15 to 45 µm in diameter) with an enormous multilobate nucleus, exceptionally prominent nucleoli, and abundant, usually slightly eosinophilic cytoplasm. Particularly characteristic are cells with two mirror-image  nuclei  or  nuclear  lobes,  each  containing  a  large (inclusion-like)  acidophilic  nucleolus  surrounded  by  a clear zone, features that impart an owl-eye appearance.

​Difference between Hodgkin Lymphoma and Non-Hodgkin Lymphoma